The first heart sound is loud in which of the following conditions? 1. Mitral regurgitation 2. Pregnancy 3. Anemia 4. Mitral stenosis
1. 1 and 4
2. 1, 2 and 4
3. 3 and 4
4. 2, 3 and 4

Correct answer: 4. 2, 3 and 4

Explanation: Loud S1-Tachycardia Short PR interval CHF Anemia Pheochromocytoma Thyrotoxicosis Physiological: Children /pregnancy In Mitral stenosis-Physical obstruction- | Left atrial pressure S1 becomes softer in - Later stages of MS when the leaflets are rigid and calcified After exposure to beta adrenergic receptor blockers - Long PR intervals - left ventricular contractile dysfunction